All are true regarding DIC, EXCEPT:
1. Decreased fibrinogen
2. Decreased PTT
3. Thrombocytopenia
4. Increased PT

Correct answer: 2. Decreased PTT

Explanation: Common laboratory findings in DIC include the prolongation of PT and/or aPTT; platelet counts 100,000/L3, or a rapid decline in platelet numbers, the presence of schistocytes (fragmented red cells) in the blood smear and elevated levels of FDP (fibrin degradation products ). The most sensitive test for DIC is the FDP level. Ref: Harrison's Internal Medicine, 18th Edition, Pages 978-80